A patient presented with intense vulvar pruritus, a white curd like, cheesy vaginal discharge and vulvar erythema. Candidiasis was diagnosed. Which among the following is NOT a risk factor for vaginal candidiasis?
1. Diabetes mellitus
2. Hypertension
3. Human Immunodeficiency Virus (HIV) infection
4. Pregnancy

Correct answer: 2. Hypertension

Explanation: Risk factors of candida infection include: Diabetes mellitus Human immunodeficiency virus Obesity Pregnancy Medication (antibiotics, corticosteroids, oral contraceptives) Chronic debilitation Ref: Mazdisnian F. (2007). Chapter 37. Benign Disorders of the Vulva & Vagina. In A.H. DeCherney, L. Nathan (Eds), CURRENT Diagnosis & Treatment Obstetrics & Gynecology, 10e.